Prepyloric or channel ulcer in the stomach is termed as
1. type 1
2. type 2
3. type 3
4. type 4

Correct answer: 3. type 3

Explanation: Type 1- in the antrum, near the lesser curvature, type 2: combined gastric ulcer (in the body ) with duodenal ulcer, type 3. Prepyloric, type 4 gastric ulcer in the proximal stomach of the cardia type 5- ulcer anywhere associated with NSAIDs. SRB edition 5 page no. 824